Most common cause for meningitis in adults:
1. H.Influenzae
2. N.meningitidis
3. Staph.aureus
4. Streptococcus pneumoniae

Correct answer: 4. Streptococcus pneumoniae

Explanation: Ans. D: Streptococcus pneumoniae Streptococcus pneumoniae is the most common cause of meningitis in adults of age over twenty years, accounting for nearly half of the cases. N. meningitidis accounts for nearly 25% of the cases. Staph.aureus and coagulase negative staphylococci are important causes of meningitis that occurs following neurosurgical procedures.